Digoxin induced arrhythmias are treated by all the following except
1. Lidocaine
2. Phenytoin
3. Atropine
4. Quinidine

Correct answer: 4. Quinidine

Explanation: Quinidine is contraindicated with digoxin as quinidine has high protein binding capacity so replace digoxin from protein binding sites. Lidocaine, phenytoin are used for ventricular arrhythmias caused by digoxin, atropine is used if there is bradycardia due to digoxin.Ref: HL Sharma 3rd ed.Pg 324